Treatment of chronic cholecystitis -
1. Cholecystectomy
2. Choledochocystectomy
3. Choledochocytostomy
4. Conservative

Correct answer: 1. Cholecystectomy

Explanation: Elective Laparoscopic cholecystectomy is the treatment of choice for chronic cholecystitis. Patients should be advised to avoid dietary fats and large meals while awaiting surgery. But diabetic patients with chronic cholecystitis should have a cholecystectomy promptly as they are at higher risk for acute cholecystitis or even gangrenous cholecystitis. Pregnant women with symptomatic gallstones who cannot be managed expectantly with diet modifications can safely undergo laparoscopic cholecystectomy during the 2nd trimester. Ref : Schwartz, 9/e p1146